Which of the following is false about hemochromatosis
1. HFE gene mutation
2. Autosomal recessive
3. Iron deposits in the testis
4. Secondary hemochromatosis is due to thalassemias.

Correct answer: 3. Iron deposits in the testis

Explanation: In hemochromatosis iron deposits are seen in pituitary gland, skin , pancreas and heart.